Alzheimer's disease - associated chromosome is -
1. 2
2. 6
3. 12
4. 19

Correct answer: 4. 19

Explanation: Ans. is 'd' i.e., 19 Chromosomes associated with Alzheimer's diseaseo Early onset disease (30-60 years)o Chromosome 21o Amyloid precursor protein (AAP) o Chromosome 14o Presenilin 1 o Chromosome 1o Presenilin 2o Late onset disease (>65 years)o Chromosome 19o Apolipoprotein E gene (APOE e4)